Osgood schlatter disease is osteochondritis of ?
1. Tibial tuberosisty
2. Lunate
3. Calcaneum
4. Navicular

Correct answer: 1. Tibial tuberosisty

Explanation: Ans. is 'a' i.e., Tibial tuberosity